Disease having autosomal recessive inheritance -a) Cystic fibrosisb)  Hydrocephalusc)  Duchene muscular dystrophyd) Albinisme)  Vitamin D resistant ricket
1. b
2. ad
3. ac
4. ab

Correct answer: 2. ad